Modified base is seen in -
1. tRNA
2. rRNA
3. hnRNA
4. mRNA

Correct answer: 1. tRNA

Explanation: Ans. is 'a' i.e., tRNA